Increased AFP level seen in -
1. Down's syndrome
2. Molar pregnancy
3. Overestimated gestational age
4. Congenital nephrotic syndrome

Correct answer: 4. Congenital nephrotic syndrome

Explanation: Ans is 'd' i.e. Congenital nephrotic syndrome